Transformation zone moves out under the influence of all except:
1. Age
2. Pregnancy
3. OCP's
4. Puberty

Correct answer: 1. Age

Explanation: Ans. is a, i.e. Age.Ref: Novaks 15th/ed, p576-578Squamo columnar insction/Transportation zone* SCJ is found in external os in neonates* But it is a dynamic part & does not remain restricted to it. It moves with age and hormonal influence.* The original SC Junction is marked by the presence of nobothian cysts and glandular openings.The TZ moves inside (not out) with age.It moves outIn pregnancyAt pubertyWith OCP use* M/c site of origin of CIN or cancer cervix is Transformation Zone.